Topical azelaic acid is used in -
1. Hyperpigmentary disorders
2. Dermatophvte infections
3. Vitiligo
4. Mixed infections

Correct answer: 1. Hyperpigmentary disorders

Explanation: Topical azelic acid is used in treatment of melasma a hyper pigmentation disorder. azeliac acid is a competitive tyrosinase inhibitor that inhibit the synthesis of melanin. It is used as 10-20% cream and is as efficacious as hydroquinone. IADVL textbook of dermatology , pigmentary disorders page 750